Tensor fascia lata supplied by:
1. Inferior gluteal nerve
2. Superior gluteal nerve
3. Nerve to quadratus femoris
4. Nerve to obturator internus

Correct answer: 2. Superior gluteal nerve

Explanation: Ans. b. Superior gluteal nerveInferior gluteal nerve (L5, SI, S2)Superior gluteal nerve (L4, L5, SI)Nerve to the quadratus femoris muscle (L4, L5, SI)Nerve to the obturator internus muscle (L5, SI, S2)* Leaves the pelvis through the greater sciatic foramen below the piriformis* Leaves the pelvis through the greater sciatic foramen above the piriformis* Leaves the pelvis through the greater sciatic foramen below the piriformis* Leaves the pelvis through the greater sciatic foramen below the piriformis* Innervates the gluteus maximus muscle* Innervates the gluteus medius, gluteus minimus, and tensor fascia lata muscles* Descends deep to the gemelli and obturator internus muscles and ends in the deep surface of the quadratus femoris, supplying the quadratus femoris and the inferior gemellus muscles*. Enters the perineum through the lesser sciatic foramen*. Innervates the obturator internus and superior gemellus muscles